All are chlolinergic agents except
1. Galantamine
2. Donepezil
3. Tacrine
4. Memantine

Correct answer: 4. Memantine

Explanation: Donepezil,rivastigmine,gallantamine and tacrine are cholinergic (due to inhibition of cholinesterase enzyme) drugs useful for alzheimer's disease. Memantine is an NMDA blocker,used for Alzheimer's disease. Ref-KDT 6/3 p472,473